Digoxin action is not affected in
1. Hepatic disease
2. Electrolyte disturbances
3. Renal failure
4. MI

Correct answer: 1. Hepatic disease

Explanation: Ref-KDT 5/e p463 Digoxin is eliminated mainly excretion through kidney. Dose of big ox and therefore does not require adjustment in hepatic failure where as it has to be reduced in renal failure